Man is an intermediate host in life cycle of:
1. Malaria
2. Tuberculosis
3. Filariasis
4. Relapsing fever

Correct answer: 1. Malaria

Explanation: Ans. A i.e. Malaria Man is an intermediate host in Plasmodium Echinococcus Tinea solium Toxoplasma gondi